"Genital elephantiasis" is seen in:
1. Rickettsia
2. Chancroid
3. Lymphogranuloma venereum
4. Syphilis

Correct answer: 3. Lymphogranuloma venereum

Explanation: Ans. is. 'c' i. e., Lymphogranuloma venereum